At equally natriuretic doses, which of the following drugs causes maximum potassium excretion?
1. Spironolactone
2. Furosemide
3. Acetazolamide
4. Aldosterone

Correct answer: 3. Acetazolamide

Explanation: CA inhibitors like acetazolamide decrease the secretion of H+ in the distal tubules and collecting ducts. Due to less reabsorption of sodium in the PCT, more is delivered to the distal tubules (DT). Na+ is exchanged with K+ and H+. At equally natriuretic doses, K+ excretion is maximum with CA inhibitors because Na+ delivered to the distal tubules is exchanged only with K+ (excretion of H+ is inhibited by these drugs).